The component in very minor quantity in stainless steel that changes the properties to a maximum level is
1. Carbon
2. Molybdenum
3. Chromium
4. Nickel

Correct answer: 1. Carbon